Which of the following signs of conversion disorder is not included?
1. Astasia-abasia
2. Cogwheel rigidity
3. Hemianesthesia of the body at the midline
4. Normal reflexes

Correct answer: 2. Cogwheel rigidity

Explanation: Ans. B. Cogwheel rigidityCogwheel rigidity is an organic sign secondary to disorders of the basal ganglia and not a sign of conversion disorder. In conversion disorder, anesthesia and paresthesia, especially of the extremities, are common. All sensory modalities are involved, and the distribution of the disturbance is inconsistent with that of either central or peripheral neurological disease. Thus, one sees the characteristic stocking-and-glove anesthesia of the hands or feet or hemianesthesia of the body beginning precisely at the midline. Motor symptoms include abnormal movements and gait disturbance, which is often a wildly ataxic, staggering gait accompanied by gross, irregular, jerky truncal movements and thrashing and waving arms (also known as astasia-abasia). Normal reflexes are seen. The patient shows no fasciculations or muscle atrophy, and electromyography findings are normal.